Mid-follicular phase of mestrual cycle is characterized by
1. Decreased oestrogen
2. Increased FSH
3. Increased inhibin
4. Decreased LH

Correct answer: 3. Increased inhibin

Explanation: During mid-follicular phase, follicles produce increased oestrogen and inhibin resulting in decline in FSH levels through negative feedback.